In which of the following condition is Alvarado's score indicated?
1. Pancreatitis
2. Appendicitis
3. Cholecystitis
4. Cholangitis

Correct answer: 2. Appendicitis

Explanation: Alvarado's score is a 10 point clinical scoring system designed to predict appendicitis based on clinical parameters. Alvarado's clinical scoring for appendicitis: Clinical parameter Score Migration of pain 1 Anorexia 1 Nausea or Vomiting 1 Right iliac fossa tenderness 2 Rebound tenderness 1 Temperature more than 37.3 degree celsius 1 WBC more than 10,000 2 Left shift more than 75% PMNs 1 Total 10 An Alvarado score of 8 or greater is about 96% sensitive for appendicitis, while a score less than 5 rules out the diagnosis. Ref: Case Studies in Emergency Medicine edited by Rebecca Jeanmonod, page 27